All of the following is related to cataract surgery, except
1. Lensectomy
2. Goniotomy
3. Phacoemulsification
4. IOL

Correct answer: 2. Goniotomy

Explanation: Goniotomy is the clone for glaucoma.
Extracapsular cataract extraction (ECCE) by phacoemulsification with posterior chamber IOL is the procedure of choice for cataract.
Lensectomy is done in congenital cataract.